False about coronary heart disease
1. Heavy cigarette smoking is a risk factor
2. Indian CHD occurs 1 decade later than Western CHD
3. Males are affected more than females
4. None

Correct answer: 2. Indian CHD occurs 1 decade later than Western CHD